A 19-year-old man and one of his two brothers have polyuria and polydipsia since birth. Neither his sisters nor his parents are affected.For the above patient with polyuria and polydipsia, select the most likely diagnosis.
1. central diabetes insipidus (DI)
2. nephrogenic DI
3. primary polydipsia
4. osmotic diuresis

Correct answer: 2. nephrogenic DI

Explanation: Nephrogenic DI can be inherited on the X chromosome. Its X-linked recessive nature means that males are predominantly affected. Only women who are homozygous are affected.